Stage of 16 cells is
1. Embryo
2. Morula
3. Zygote
4. Blastocyst

Correct answer: 2. Morula

Explanation: A morula is distinct from a blastocyst in that a morula (3-4 days post fertilization) is a 16-cell mass in a spherical shape whereas a blastocyst (4-5 days post fertilization) has a cavity inside the zona pellucida along with an inner cell mass